Which of the following is the indicator for body iron stores?
1. Ferretin
2. Transferrin
3. TIBC
4. Serumiron levels

Correct answer: 1. Ferretin

Explanation: Ans. is 'a' i.e., Ferretin [Ref: Harrisons 18th /e p. 453\Tests of Iron Supply and Storageo The laboratory measurements that reflect the availability of iron for hemoglobin synthesis include the serum iron, the TIBC, and the percent transferrin saturation.o The percent transferrin saturation is derived by dividing the serum iron level ([?]100) by the TIBC.o The normal serum iron ranges from 9 to 27 mmol/L (50-150 mg/dL), while the normal TIBC is 54-64 mmol/L (300-360 msg/ dL); the normal transferrin saturation ranges from 25 to 50%.o The serum ferritin is used to evaluate total body iron stores. Adult males have serum ferritin levels that average -100 mg./L, corresponding to iron stores of-1 g. Adult females have lower serum ferritin levels averaging 30 mg/L, reflecting lower iron stores (-300 mg).o A serum ferritin level of 10-15 mg/L represents depletion of body iron stores. However, ferritin is also an acute- phase reactant and, in the presence of acute or chronic inflammation, may rise several-fold above baseline levels. As a rule, a serum ferritin 200 pg/L means there is at least some iron in tissue stores.